Villous pattern is lost in
1. Hydatidiform mole
2. Invasive mole
3. Tubal mole
4. Choriocarcinoma

Correct answer: 4. Choriocarcinoma

Explanation: Choriocarcinoma : On histopathology , it is composed of cells of early cytotrophoblast and synctiotrophoblast There are no villi Has ability to metastatic Most common mode of spread is hematogenous Ref: Dutta Obs 9e pg 187.